A middle aged woman with history of backache underwent a Schober test and came as positive. She had hyperpigmented nose and ears. Looking at this radiograph, most likely diagnosis is:
1. Ankylosing spondylitis
2. Degenerative disc disease
3. Ochronosis
4. Fluorosis

Correct answer: 3. Ochronosis

Explanation: Ans. C OchronosisImage shows Intervertebral disc calcification commonly seen in alkaptonuria due to deposition of homogentisic acid. Schober's test is non-specific test that denotes loss of elasticity of spine. Hyperpigmented cartilage is another clue that points towards Alkaptonuria/Ochronosis.